Effect of radiation above threshold level -
1. Stochastic effect
2. Non-Stochastic effect
3. Lethal effect
4. Genetic effect

Correct answer: 2. Non-Stochastic effect

Explanation: park's textbook of preventive and social medicine 23rd edition *effect of radiation exposure are called somatic if they become manifest in the exposed individual and hereditary if they the descandants . *for some somatic effects ,the propability of an occurring ,rather than its severity ,is regarded as a function of dose without a theshold (stochatic effect).where as for other somatic effects the severity vary with doses (non-stochastic effect ):a threshold may therefore exist for such effects .